The power of Cornea is
1. +15 to +17D
2. +14 to +42D
3. +43 to +45D
4. +60D

Correct answer: 3. +43 to +45D

Explanation: The power of Cornea +43 — +45D
The power of Lens is +15 — +17D
The power of the Eye : +60D